Which of the following is single most important indicator of likilihoodness of progresion of hepatitis to liver cirrhosis -
1. Etiology
2. Associated serological findings
3. Presence of bridging necrosis
4. Presence of mallary hyaline

Correct answer: 1. Etiology

Explanation: Ans. is 'a' i.e., Etiologyo The single most indicator of the likelihoodness of rapid progression chronic hepatitis to cirrhosis is underlying etiology.